Which of the following represents the additional component in pentology of Fallot?
1. Atrial Septal Defect (ASD)
2. Ventricular Septal Defect (VSD)
3. Right ventricular Hypertrophy (RVH)
4. Pulmonic Stenosis

Correct answer: 1. Atrial Septal Defect (ASD)

Explanation: Pentology of fallot is a rare anomaly which consist of all structural anomalies of tetralogy of fallot together with an ostium secondum ASD. Ref: Essential pediatrics by O.P.Ghai 6th edn/page 406; An Introduction to Electro Cardiography, 7th Edition By Leoschamroth page267.